Which of the fontanelle is the last to close?
1. Anterolateral
2. Anterior
3. Lateral
4. Occipital

Correct answer: 2. Anterior

Explanation: * The posterior fontanelle normally closes 2 to 3 months after birth * The sphenoidal fontanelle is the next to close around 6 months after birth * The mastoid fontanelle closes next from 6 to 18 months after birth; * The anterior fontanelle is generally the last to close between 18-24 months Reference: GHAI Essential pediatrics, 8th edition